Among the following alternatives, which is not observed in Colles Fracture?
1. Radial displacement
2. Volar tilt
3. Dorsal displacement
4. Radial supination

Correct answer: 2. Volar tilt

Explanation: Ans. B. Volar tiltA severe Colles fracture may assume a fork shaped displacement.* Dorsal tilt* Dorsal displacement of the distal fragment* Loss of ulnar inclination^* Associated fracture of the ulnar styloid process in more than 60% of cases.* Radial angulation of the wrist* Comminution at the fracture site* Radial shortening